Through which of the following does glucose mediated insulin release occur?
1. ATP sensitive K+ channels
2. cAMP
3. Carrier mediated
4. Receptor phosphorylation

Correct answer: 1. ATP sensitive K+ channels

Explanation: Glucose-mediated insulin release occurs through ATP sensitive K+ channels. Increased blood glucose concentration is the primary controller of insulin secretion. Inside the beta cells, glucose is converted to glucose-6-phosphate and later ATP is generated. This ATP closes ATP sensitive potassium channels, leading to rise in K+ and depolarisation. This in turn causes opening of voltage gated Ca2+ channels and influx of Ca+. This ultimately leads to secretion of insulin exocytosis. Ref: Guyton and Hall 13th edition Pgno: 990